Not true about PUJ obstruction is -
1. Retrograde pyelography is useful to locate the site of obstruction
2. Endoscopic pylotomy is contraindicated
3. Whittakar test is of clinical significance
4. Dismembered pyloplasty is the procedure of choice

Correct answer: 2. Endoscopic pylotomy is contraindicated

Explanation: Endoscopic approaches (such as endoscopic pyelotomy or ballon dilatation) are used for the repair of PUJ obstruction.